True about composition of low osmolar ORS is
1. Sodium 65mmol/L, Glucose 75mmol/L
2. Sodium 75mmol/L, Potassium 20mmol/L
3. Chloride 65 mmol/L, Potassium 10mmol/L
4. Sodium 65 mmol/L, Citrate 20mmol/L

Correct answer: 2. Sodium 75mmol/L, Potassium 20mmol/L